Liquid chemical waste is discarded in:
1. Yellow bag
2. Red bag
3. White bag
4. Blue bag

Correct answer: 1. Yellow bag

Explanation: Liquid chemical waste used for disinfection purposes, cleaning and housekeeping are discarded in yellow bag. Chemical treatment is done followed by draining the liquid. Category Type of waste Yellow Human Anatomical Waste Animal Anatomical Waste Soiled Waste Expired or Discarded Medicines Chemical Waste Discarded Linens, mattresses, beddings contaminated with blood or body fluid, routine mask and gown g) Micro, Bio-t and other clinical lab waste h) Chemical liquid Waste Red Contaminated Waste (Recyclable) White (Translucent) Waste sharps including Metals Blue Glassware and Metallic Body Implants